Dysthymia is -
1. Chronic mild depression
2. Chronic severe depression
3. Bipolar disorder
4. Personality disorder

Correct answer: 1. Chronic mild depression

Explanation: Mild depression with the chronic course (≥ 2 years) is called dysthymia.